Pancytopenia with cellular marrow is seen in all, except:
1. Megaloblastic anemia
2. Myelodysplasia
3. Paroxysmal nocturnal hemoglobinuria
4. G6 PD deficiency

Correct answer: 4. G6 PD deficiency

Explanation: G6PD deficiency is not associated with pancytopenia and a cellular marrow. So G6PD is the single best answer of choice. Ref: Harrison's Principles of Internal Medicine, 16th Edition, Page 617; Manual of Practical Medicine By R Alagappan, 3rd Edition, Page 335